Metoclopramide acts to achieve which of the following
1. Decrease lower esophageal sphincter pressure
2. Decrease transit through the small intestine
3. Stimulate vomiting
4. Increase gastric emptying

Correct answer: 4. Increase gastric emptying

Explanation: PROKINETIC DRUGS Metoclopramide Mech of action on GIT:- Metoclopramide has more prominent effect on upper g.i.t.; increases gastric peristalsis while relaxing the pylorus and the first part of duodenum - speeds gastric emptying.This action is independent of vagal innervation, but is stronger when vagus is intact. Lower esophageal sphincter (LES) tone is increased and gastroesophageal reflux is opposed. It also increases intestinal peristalsis to some extent, but has no significant action on colonic motility and gastric secretion. Ref:- kd tripathi; pg num:-664